Antibody that is strongly associated with polymyositis?
1. Anti-jol
2. Anti-ku
3. Anti-Scl-70
4. Anti-sm

Correct answer: 1. Anti-jol

Explanation: A. i.e. Anti Jol Myositis specific auto antibodies include the antisynthetases 2. Whereas, PM/Scl, Ro/SSA (Ro 52, Ro 60), and U1- RNP represent major myositis associated autoantibodies.